Normal portal vein pressure is -
1. < 3 mm Hg
2. 3-5 mm Hg
3. 5-10 mm Hg
4. 10 to 1 2mm of Hg

Correct answer: 3. 5-10 mm Hg

Explanation: Ans. is 'c' i.e., 5-10 mm Hg